Which bony landmark of the femur serves as a site for muscle attachments?
1. fovea capitis
2. lesser trochanter
3. head
4. medial condyle

Correct answer: 2. lesser trochanter

Explanation: The lesser trochanter is a small protuberance of bone that projects from the posterior aspect of the femur, inferomedially at the base of the femoral neck. Two muscles insert onto thelesser trochanter: Psoas major. Iliacus.